Which is the drug of choice for severe preeclampsia?
1. Labetalol
2. Metoprolol
3. A-methyldopa
4. Nifidipine

Correct answer: 1. Labetalol

Explanation: Labetalol is the drug of first choice in severe preeclampsia. The main objective is to reduce the risk of severe hypertension and cerebral haemorrhage. Labetalol is given as 200-400 mg/day in 2 doses